Most common position of appendix is ?
1. Preilial
2. Post ilial
3. Pelvic
4. Retrocaecal

Correct answer: 4. Retrocaecal

Explanation: Ans. is 'd' i.e., RetrocaecalVermiform Appendix It is a narrow worm-like tubular diverticulum which arises from the postero-medial wall of the caecum about 2 cm below ileocaecal function and is suspended by a peritoneal fold known as mesoappendix or appendicular mesentery.Length of appendix is 2-20 cm (average 9 cm).The appendix lies in the right iliac fossa.Base of the appendix is fixed, but the tip can point in any direction, according to which positions of appendix are classified :-Retrocaecal (12 0' clock) positon : It is the commonest position (in 65% of individuals).Pelvic (4 0' clock) position : It is second commonest position (in 30% of individuals).Paracolic (11 0' clock) position : In 20% of subjects.Midinguinal (6 0' clock) position : In 2% of subjects.Pre and post-ileal (3 0' clock) position : In 1% and 0.4% subjects, respectively.Promontoric (3 0' clock) position : In < 1% of subjects.Appendix develops from midgut and therefore is supplied by superior mesenteric artery through appendicularbranch of ileocolic artery.